All are indications for surgical intervention in pyogenic liver abscess, EXCEPT:
1. Multiple large or loculated absecc
2. Thick walled abscess with loculated pus
3. Concurrent intraabdominal surgical pathology
4. Right lobe abscess

Correct answer: 4. Right lobe abscess

Explanation: Indications for surgical drainage in pyogenic liver abscess are: No clinical response after 4-7 days of drainage a catheter Multiple, large, or loculated abscess Thick walled abscess with viscous pus Concurrent intra-abdominal surgical pathology. Right lobe abscess as such is not an indication for surgical drainage to rupture into the pericardium, which is lethal. Ref: Heneghan et al. BMC Research Notes 2011, 4:80.